Morbidity and mortality of the following infection is assessed by Chandler's index in different populations:
1. Ancylostoma duodenale
2. Ascaris lumbricoides
3. Strongyloides
4. Trichuris trichiura

Correct answer: 1. Ancylostoma duodenale

Explanation: Chandler's index is used in epidemiological studies of Ancylostoma duodenale or Necator americanus infection (hookworm disease). By this index, worm loads in different population groups can be compared, and also the degree of reduction of egg output after mass treatment. Chandler's index: Average number of eggs per gram of stools Significance Below 200 Hookworm infection is not of much significance 200-250 May be regarded as potential danger 250-300 Minor public health problem Above 300 Important public health problem Ref: Park's Textbook of Social and Preventive Medicine, 19th edition, Page 203.